Open anterior fontanelle, bruit present. Midline lesion in brain diagnosis -
1. Malformation of vein of galen
2. Congenital hydrocephalus
3. Down syndrome
4. Rickets.

Correct answer: 1. Malformation of vein of galen

Explanation: Ans. is 'a' i.e., Malformation of vein of galen o Open anterior fontanel seen in all 4 condition.o Cranial Bruits which is heard over anterior fontanel may be seen normally in children upto 4 years of age.o AV malformation of middle cerebral artery or vein of galen.o Severe anemia, raised intracranial pressure may also produce cranial bruit.